Best radiographic view for fracture of C1, C2 vertebrae is:
1. AP view
2. Odontoid view
3. Lateral view
4. Oblique view

Correct answer: 2. Odontoid view

Explanation: The odontoid view (open mouth view) is the best radiographic view to vizualize C1, C2 vertebra. This view is used to evaluate an area that is difficult to visualize in the cross-table lateral view because of shadow superimposition. The most important relationship to evaluate in this view is alignment of the lateral masses of C1 with respect to the odontoid process. Ref: Factors Associated with Spinal Cord Injury in Children after Blunt Trauma By Leonard JC , Kuppermann N, Oisen C, Babcock-CimpelloL, BrownK, Mahajan P, Pages 145-55; Fractures of The Cervical, Thoracic and Lumbar Spine By Alexander R Vaccaro, Pages 90-96